Giving Benzathine penicillin in RHD is a type of
1. Primary prevention
2. Secondary prevention
3. Tertiary prevention
4. Primordial prevention

Correct answer: 2. Secondary prevention

Explanation: Ans. is 'b' i.e. Secondary prevention Primary prevention is action taken prior to the onset of disease.Secondary prevention is action which halts the progress of the disease at its incipient stage and prevents complications.Thus giving Benzathine pencillin in RHd is a type of secondary prevention.